Which of following is not seen in nephritic syndrome -
1. Edema
2. Hematuria
3. HTN
4. Hypocholestremia

Correct answer: 4. Hypocholestremia

Explanation: Ans. is `d' i.e., Hypocholestremia